Malignant hypertension causes-
1. Flea bitten kidney
2. Irregular granular contracted kidney
3. Large white kidney
4. No change in kidney

Correct answer: 1. Flea bitten kidney

Explanation: Malignant nephrosclerosis Flea-bitten kidney: It is characterized by the presence of small, pinpoints petechial hemorrhages on the cortical surface due to rupture of arterioles or glomerular capillaries. Histology: Fibrinoid necrosis and onion-skinning of arterioles. Fibrinoid necrosis of arterioles Causes of the flea-bitten kidney: Malignant hypertension Subacute bacterial endocarditis Rapidly progressive GN Henoch-Schonlein purpura. Ref: RAM DAS NAYAK EXAM PREPARATORY MANUAL FOR UNDERGRADUATES 2nd ed. pg no: 621